Crural index is:
1. Length of tibia/femur x 100
2. Length of radius/humerus x 100
3. Length of fibula/tibia x 100
4. Length of radius/ulna x 100

Correct answer: 1. Length of tibia/femur x 100

Explanation: Ans. Length of tibia/femur x 100